Hodkin lymphoma treatment -
1. ABVD is more commonly used regimen
2. Sterility is common in ABVD regimen
3. WBC > 16 * 109\/L is good prognostic factor
4. None

Correct answer: 1. ABVD is more commonly used regimen

Explanation: The ABVD(doxorubicin,bleomycin,vinbalstine, & dacarbazine)is widely used in the treatment of Hodgkin's disease .Ihe incidence of sterility is low with this regime. According to Hasenclever prognostic index for Hodgkin's disease ,WBC more than 15x10^9/L is a risk factor. Davidson's principles & practice of medicine 22nd edition pg no 1043.